A young girl presented with swelling of right thigh with history of trauma 2 months back. Now she presents with swelling at mid shaft of femur and low grade fever. ESR is midly raised. X ray shows a laminated Periosteal reaction, next line of investigation would be
1. MRI
2. Biopsy
3. Bone scan
4. Blood count and CRP

Correct answer: 1. MRI

Explanation: Next best investigation is MRI Extent of soft tissue involvement Skip lesions in the same compartment Relationship if neurovascular bundle to the tumor Intramedulary extent of tumor Refer Campbell 13th/e